Monochorlonic monoamniotic twin occurs if; division occurs :
1. Before 24 hours
2. 1-4 days
3. 4-8 days
4. 8 days

Correct answer: 4. 8 days

Explanation: 8 days